The efferent limb of a myotatic reflex includes a(n):
1. Anterior horn motor neuron
2. Lateral horn visceromotor nucleus.
3. Muscle spindle.
4. Preganglionic sympathetic neuron

Correct answer: 1. Anterior horn motor neuron

Explanation: The myotatic reflex is a monosynaptic, sretch reflex. The efferent limb consists of the axon of an anterior horn alpha motor neuron that innervates striated muscle fibers (effector). The afferent limb consists of a muscle spindle (receptor) and an Ia fiber (axon) of a spinal ganglion neuron.